True statement regarding oliguria:
1. Urine formation less than 50 mL/ 24 hours
2. Urine formation less than 250 mL/ 24 hours
3. Urine formation of less than 500 mL/24 hours
4. Urine formation less than 750 mL/24 hours

Correct answer: 3. Urine formation of less than 500 mL/24 hours

Explanation: Ans. C: Urine formation of less than 500 mL/24 hours Oliguria is defined as a urine output that is Less than 1 mL/kg/h in infants, Less than 0.5 mL/kg/h in children, and Less than 500 mL/day in adults Anuria is complete absence of urine formation(less than 50 mL)